Drug of choice for Obscessive Compulsive Neurosis is
1. Imipramine
2. CPZ
3. Carbamazapine
4. Clomipramine

Correct answer: 4. Clomipramine

Explanation: D i.e. Clomipramine